Codman's triangle is a feature of –
1. Osteosarcoma
2. Osteochondroma
3. Osteoid osteoma
4. Chondrosarcoma

Correct answer: 1. Osteosarcoma

Explanation: Codman's triangle is characteristically seen in osteosarcoma. It may also be seen in Ewing's sarcoma and osteomyelitis.